All are features of renal tubular acidosis type I except
1. Stone in kidney
2. No anion gap
3. Hypokalemia
4. Fanconi's syndrome

Correct answer: 4. Fanconi's syndrome

Explanation: The hypokalemia and abnormally low excretion of ammonium, as estimated by the urine anion gap, in the absence of glycosuria, phosphaturia, or aminoaciduria (Fanconi's syndrome), defines the entity of classic distal renal tubular acidosis (dRTA), also known as type 1 RTA.Fanconi's syndrome (a type 2 proximal renal tubular acidosis), with loss of glucose and amino acids, as well as defects in the ability of the kidney to acidify and concentrate the urine.Harrison 19e pg: 64e-6